Hypercoagulability due to defective factor V gene is called :
1. Lisbon mutation
2. Leiden mutation
3. Antiphospholipid syndrome
4. Inducible thrombocytopenia syndrome

Correct answer: 2. Leiden mutation

Explanation: . Leiden mutation